80% of gallstones contain
1. Bile pigments
2. Cholesterol
3. Calcium salts
4. Phospholipids

Correct answer: 2. Cholesterol

Explanation: The constituent of gallstones is cholesterol It contains upto 80% of cholesterol The main pathogenesis of formation of gallstones is supersaturation of bile or lithogenic bile An excess of cholesterol relative to bile acids and phospholipids allows cholesterol to form crystals and such bile is called lithogenic or supersaturated bile Ref: Sabiston 20th edition Pgno :1492